T. trichuria maintains its position in the intestinal tract by
1. Penetration into tissues
2. Anchorage with its anterior portion
3. Retention in the folds of the mucosa
4. Attachment with its cutting plate

Correct answer: 2. Anchorage with its anterior portion

Explanation: Trichuris trichiura also called whip tapeworm lie embedded in the cecal wall, with the thread-like anterior portion piercing the mucosa and the thick posterior end projecting out.The infection is diagnosed by demonstrating the adult worm or the egg in the stool. Freshly passed eggs are bile stained, barrel-shaped and unembryonated.Panicker 7e pg: 172